The layer of the cornea once destroyed does not regenerate is:
1. Epithelium
2. Bowman's membrane
3. Descemet's membrane
4. All of the above

Correct answer: 2. Bowman's membrane

Explanation: Ans. Bowman's membrane